The lesions associated with recurrent dislocation of shoulder include all, except:
1. Hill-Sach's lesion
2. Bankart's lesion
3. Capsular laxity
4. Supraspinatus tear

Correct answer: 4. Supraspinatus tear

Explanation: Ans. is 'd' i.e. Supraspinatus tear Shoulder joint is the most common joint to dislocateThree important lesions are seen associated with recurrent dislocation of shoulderThese are k/a essential lesionsHill-Sach 's lesion is an indentation on the postero-lateral aspect of the humeral head, its a compression fracture due to the humeral head impacting against theanterior glenoid rim each time it dislocates.Bankart's lesion is avulsion of the labrum & capsule from the anterior rim of the glenoid.it results due to anterior dislocation of the humeral head and is felt to be the primary lesion for recurrent anterior dislocation.Erosion of anterior rim of glenoid cavityOther pathological lesions associated with recurrent shoulder dislocation arecapsular laxitysubscapularis deficiencyglenoid fossa deficiency.More about Recurrent shoulder dislocationAbout 95% of recurrent shoulder dislocations are anterior.Cause can be traumatic or atraumatic. ,Most common traumatic injury leading to anterior instability is anterior shoulder dislocation.Atraumatic causes include repetitive atraumatic injury Ehlers Danlos syndrome Marfans syndrome congenital absence of the glenoid deformities of the proximal humerusTests used to identify instability of shoulder, prone to develop recurrent anterior dislocations or subluxations.Apprehension test - this is a provocative test ih which the examiner cautiously lifts the arm into abduction, external rotation and then extension, at the crucial moment the patient senses that the humeral head is about to slip out anteriorly and his body tautens in apprehension.Sulcus test - A sulcus sign is demonstrated by pulling inferiorly on the relaxed shoulder. A sulcus observed between the acromian & proximal humeral head is considered a positive finding.Shoulder drawer sign test - the humeral head is grasped in one hand and the clavicle and scapula are stabilized in the other. The head of the humerus is manipulated forwards & backwards (like a drawer).Compared with the unaffected shoulder, the affected shoulder often demonstrates increased laxity.Relocation test - this test involves placing the shoulder in the position of apprehension and applying a posteriorly directed force on the humeral head. The result is considered positive if this relieves the patient's apprehension.Fulcrum test Operative treatmentBankart procedure - the tom glenoid labrum and capsule are repaired.Putti-Platt operation - the anterior capsule and the subscapularis are shortened and tightenedBristow-Latarjet operation - here the antero-inferior capsule is reinforced by redirecting other muscles across the front of the joint.Osteotomy - correction of a reduced retroversion angle of the humeral head by osteotomy.